Refractive index of cornea is
1. 1.37
2. 1.33
3. 1.42
4. 1.45

Correct answer: 1. 1.37

Explanation: Corneal refractive index is 1.376